Anterior m i d line swelling of neck is:
1. Branchial cyst
2. Thyroglossal cyst
3. Cystic hygroma
4. Carotid body tumour

Correct answer: 2. Thyroglossal cyst

Explanation: Ans. B i.e. Thyroglossal cyst